Water lilly appearance in chest X-ray is suggestive of:
1. Bronchiectasis
2. Bronchopleural fistula
3. Hydatid cyst
4. Sequestration cyst of lung

Correct answer: 3. Hydatid cyst

Explanation: Ans. Hydatid cyst